Sclerosis of bony orbit is seen in
1. Neurofibroma
2. Retinoblastoma
3. Meningioma
4. Glioma

Correct answer: 3. Meningioma

Explanation: Meningismus are tumor most common in women. Arising from the meningeal endothelial cells of the arachnoid villi. It is characterized by optiociliary shunts .if it involves the optic nerve sheath and in intracranial meningioma. It causes sclerosis of bony orbit Refer khurana 6/e p 423